All are vasodilators except.
1. Procaine
2. Lidocaine
3. Cocaine
4. Chlorprocaine

Correct answer: 3. Cocaine

Explanation: Ans. (C) Cocaine(Ref: Katzung 11th/e p448)All local anaesthetics cause vasodilation except cocaine. It blocks reuptake of nor-adrenaline and result in sympathetic overactivity. Therefore, cocaine can cause hypertension and cardiac arrhythmias.